Which is a bullet shaped virus?
1. Rabies virus
2. CoxsackieA
3. Coxsackie B
4. Polio virus

Correct answer: 1. Rabies virus

Explanation: Ans. (a) Rabies virus